True about histoplama capsulatum -
1. Dimorphic fungus
2. Causative organism of moniliasis
3. Causative organism of valley fever
4. Capsulated

Correct answer: 1. Dimorphic fungus

Explanation: Ans. is 'a' i.e., Dimorphic fungus Histoplasma capsulatum . A dimorphic fungus . Non encapsulated The only medically important capsulated fungus is cryptococcus. . Infection is acquired by inhalation of microconidia (small spores) in dust contaminated with bird or bat dropping. . It causes intracellular infection of reticuloendothelial system. Clinical manifestations: ---> Majority of patients are asymptomatic Histoplasmosis Acute pulmonary Chronic pulmonary Disseminated Presumed ocular histopla? histoplasmosis histoplasmosis smosis syndrome (PONS) . Pneumonitis . U/L or B/L fibronodular - Fever - Discrete atrophic . Hilar adenopathy apical infiltrates - Emaciation choroidal scar . Erythema nodosum - Hepatosplenomegaly - Peripapillary atrophy . Erythema multiforme - Lymphadenopathy - Choroidal neovasculari? . Subacute pericarditis - Anemia, leukopenia zation Thrombocytopenia - Loss of central vision - Ganulomatous hepatitis - Addison's diseases - GI ulcers - Endocarditis - Chronic meningitis